A 20 year female presents with a ovarian mass 6x 6 x 6cm in size. Ultrasonography reveals solid structures in the mass. Her serum biomarkers such as AFP. fO-hCG and CA 125 are normal, however, her serum alkaline phosphatase was found to be elevated. The most likely diagnosis is
1. Dysgerminoma
2. Endodermal sinus tumor
3. Malignant teratoma
4. Mucinous cystadenocarcinoma

Correct answer: 1. Dysgerminoma